Which of the following vitamin deficiencies is most commonly seen in short bowel syndrome:
1. Vitamin B12
2. Biotin
3. Vitamin B1
4. Vitamin K

Correct answer: 1. Vitamin B12

Explanation: Answer is A (Vitamin B 12) Cyanocobalamine (Vitamin B12) deficiency is the most common deficiency in patients with short bowel syndrome associated with loss of ileum (Heal resection) since vitamin B12 is absorbed only in the ileum Short Bowel Syndrome may be associated with deficiency offal-soluble vitamins (Vitamin A, D, E and K) and water soluble Vitamin B12 (when ileum is resected / non functional). The most common deficiency is determined essentially by the specific segment of the small intestine (jejunum or ileum) that is resected / non functional. Since the question does not specift the specific segment of the small intestine contributing to the short bowel syndrome, the single best answer has to be selected by a method of exclusion. Vitamin B12 is the single best answer amongst the options provided (since none of the commonly deficient fat soluble vitamins (A, D or E) have been provided amongst the options and deficiency of Fat soluble Vitamin K is uncommon in Short Bowel Syndrome) Deficiency of fat-soluble vitamin K is uncommon in short bowel syndromesince 60% of the vitamin K is synthesized in the colon Deficiency of water-soluble vitamins Biotin and Thiamine is uncommon in short bowel syndrome since thay are primarily absorbed in the duodenum and/or proximal jejunum. - Short Bowel Syndrome is primarily associated with deficiency of fat-soluble vitamin (A, D and E) and water-soluble vitamin B12 (since this water soluble vitamin is absorbed only in the ileum)